Which of the following is NOT an adverse effect of excessive mineralocorticoid action?
1. Na+ and water retention
2. Acidosis
3. Aggravation of CHF associated myocardial fibrosis
4. Rise in blood pressure

Correct answer: 2. Acidosis

Explanation: -Mineralocorticoids cause retention of sodium and water. It can result in increase in blood pressure as well as aggravation of symptoms of CHF. -Mineralocorticoids cause loss of K+ and H+ in the urine. This can result in hypokalemia and metabolic alkalosis in mineralocorticoid excess conditions like Cushing syndrome or Conn syndrome.